Garre's chronic non suppurative sclerosing osteomyelitis
is characterized clinically by
1. EndosteaL bone formation
2. Periosteal bone formation
3. Resorption of medullary bone
4. Resorption of cortical bone

Correct answer: 2. Periosteal bone formation